Movement is socio - economic level is
1. Social equality
2. Social mobility
3. Socio-economic upliftment
4. Social mobilization

Correct answer: 2. Social mobility

Explanation: Net Reproduction Rate (NRR) is defined as the number of daughters a newborn girl will bear during her life time assuming fixed age-specific fertility and MORTALITY.
General Fertility Rate (GFR), General Marital fertility Rate (GMFR) don't account for mortality rate.